Subconjunctival hemorrhage does not occur in
1. High intraocular tension
2. Trauma
3. Pertussis
4. Eye rubbing

Correct answer: 1. High intraocular tension